Population is 10,000. Of these 20% is having disease. The screening test has 95% sensitivity and 80% specificity. PPV is-
1. 54.3%`
2. 98.50%
3. 47.50%
4. 20%

Correct answer: 1. 54.3%`

Explanation: Ref:Parks 23rd edition pg 139 Construct a 2x2 table using the above data. 1900 1600 100 6400 PPV = TP / (TP +FP) = 1900/ (1900+1600) =54.3